All may be seen in deep burns except -
1. Hyperthermia
2. Increase vascular permeability
3. Fluid loss by evaporation
4. Vasodilatation

Correct answer: 1. Hyperthermia

Explanation: Ans is 'a' i.e., Hyperthermia Burns may lead to hypothermia (not hyperthermia). Schwartz writes - "Radiant heat loss is increased from the burn wound secondary to increased blood flow and integumentary loss." Heat loss also occurs because of evaporation of water from the burn wounds. This evaporation from wounds cause a significant fluid loss. About option 'b' & 'd', Sabiston writes "Significant burns are associated with massive release of inflammatory mediators, both in the wound and in other tissues. These mediators produce vasoconstriction and vasodilation, increased capillary permeability, and edema locally and in distant organs."